The most frequently dislocated joint in the body is
1. Acromioclavicular joint
2. Glenohumeral joint
3. Ankle joint
4. Hip joint

Correct answer: 2. Glenohumeral joint

Explanation: The glenohumeral joint is the most mobile joint in the body and is very unstable As the mobility increases, stability is lost in the joint The shoulder dislocation occurs more commonly in adults and rare in the children. Ref : Gray's Anatomy The Anatomical Basics of Clinical Practice 41 e pg 813.